Most common age for intusuppetion is -
1. 0-6 Months
2. 6 Months -3yrs
3. 3-5Yrs
4. > 5 yrs

Correct answer: 2. 6 Months -3yrs

Explanation: Ans. is 'b' i.e., 6 months - 3 yrs. o An intussusception is composed of three parts:The entering or inner tube - intussusceptumThe returning or middle tubeThe sheath or outer tube - intussuscipiensIntussusceptiono Intussusception is the telescoping of one portion of the intestine into the other,o It is the most common cause of intestinal obstruction in early childhood (3 months to 6 years)o Clinical featuresIntussusception classically produces severe cramping abdominal pain in an otherwise healthy child. The childoften draws his or her legs up during the pain episodes and is usually quite during the intervening periods.Vomiting is almost universal.Initially the passage of stools may be normal while later on blood mixed with mucus is evacuated - red currant jelly stoolAn abdominal mass may be palpated - a sausage shaped mass, which may increase in size and firmness during theparoxysms of pain.There may be an associated feeling of emptiness in the right iliac fossa (sign of Dance)On rectal examination, blood-stained mucus may be found on the finger. Occasionally in extensive ileocolic or colocolic intussusception, the apex may be palpable or even protrude from the anus.o Diagnosis can be made onBarium enema which shows characteristicClaw signCoiled spring signOn ultrasound which showsTarget signPseudokidney sign.o When the clinical index of suspicion is high, hydrostatic reduction by contrast agent or air enema is the diagnostic and the therapeutic procedure of choice. Hydrostatic reduction is contraindicated in peritonitis or hemodynamic instability.